Spectrum of IDD does NOT include-
1. Still births
2. Hyperactivity
3. Deafness
4. Delayed development

Correct answer: 2. Hyperactivity

Explanation: Ans. is `b' i.e., Hyperactivity Spectrum of I DI) in order of increasing severity, Goitre Hypothyroidism o Subnormal intelligence o Delayed motor milestones o Intellectual disability o Hearing defects o Intrauterine death (still birth, abortion) Speech defects Strabismus (squint) Nystagmus Spasticity (extrapyramidal) Neuromuscular weakness o Endemic cretinism